In audiogram of an otosclerotic patient, Carhart's notch is a dip at __________
1. 0.5 KHz
2. 2 KHz
3. 4 KHz
4. 8 KHz

Correct answer: 2. 2 KHz

Explanation: Caraha's notch: Is classically found in bone conduction audiograms of patients with otosclerosis. This is actually a dip centered around 2000 Hz. Some authors consider carha's notch to be an artifact. This notch is closely related to the carha's effect.Carhart's effect: was initially described following successful stapes surgery. There was an over closure of air bone gap following successful surgery. Classically this effect lead to an improvement in hearing levels particularly at 2 KHz frequency levels.